Circinate balanitis is a feature of
1. Osteoarthritis
2. Psoariatic arthritis
3. Reactive arthritis
4. Ankylosing spondylitis

Correct answer: 3. Reactive arthritis

Explanation: Circinate balanitis and Keratoderma Blennorrhagica is a feature of Reactive arthritis.